The view which best demonstrates inflammation and temporomandibular joint effusion are:
1. T2 weighted MR images
2. T1 weighted MR images
3. Lateral tomogram
4. Panoramic radiograph

Correct answer: 1. T2 weighted MR images